Focal lesions of liver is best detected by
1. MRI
2. CT
3. USG
4. PET scan

Correct answer: 1. MRI

Explanation: MRI in liver lesions MRI gas emerged as the best imaging test for liver lesion detection and characterization MRI provides high lesion to liver contrast and does not use radiation Lievr specific contrast media, such as mangifodipir trisodium (taken up by hepatocytes) and ferrumoxides (taken up by kupffer cells) demonstrate selective uptake in the liver and are primarily used for lesion detection These two contrast agents are also useful in characterising specific liver tumors, such as FNH, hepatic adenoma and HCC Ref: Shackelford 7th edition Pg no : 1560, 1571